The vein formed by union of posterior division of retromandibular vein and posterior auricular vein is
1. Common facial vein
2. Anterior jugular vein
3. External jugular vein
4. Interior jugular vein

Correct answer: 3. External jugular vein

Explanation: External jugular vein is formed by posterior auricular vein and posterior division of retromandibular vein.